Peripheral smear of neonate with ABO incompatibility will show?
1. Microspherocytes
2. Elliptocytes
3. Fragmented RBCs
4. Polychromatosis

Correct answer: 1. Microspherocytes

Explanation: Microspherocytes are seen in the peripheral smear of a neonate with ABO incompatibility. Microspherocytes are erythrocytes smaller in diameter and spheroidal in shape but with increased thickness. It is also seen in Hereditary spherocytosis, autoimmune hemolytic anemia. Reference : page 293 Textbook of pathology Harshmohan 6th edition